First enzyme to be raised in MI is
1. CPK-MB
2. LDH
3. Myoglobin
4. Troponin-I

Correct answer: 3. Myoglobin

Explanation: The laboratory evaluation of MI is based on measuring blood levels of macromolecules that leak out of injured myocardial cells through damaged cell membranes these molecules include myoglobin, cardiac troponins T and I (TnT, TnI), creatine kinase (CK) (specifically the myocardial isoform, CK-MB), and lactate dehydrogenase. Troponins and CK-MB have high specificity and sensitivity for myocardial damage. (Robbins Basic pathology,9th edition.pg no.382)